Burtonian line is seen with poisoning of
1. Mercury
2. Lead
3. Arsenic
4. Zinc

Correct answer: 2. Lead

Explanation: B i.e. Lead